Microarray is best characterised by
1. Study of organisms
2. Study of disease
3. Study of multiple genes
4. Study of blood group

Correct answer: 3. Study of multiple genes

Explanation: Microarrays are gene chips used to sequence genes or portions of genes.In this technique, short sequences of DNA(oligonucleotides) that are complementary to the wild-type sequence and to known mutations are “tiled” adjacent to each other on the gene chip, and the DNA sample to be tested is hybridized to the array. Before hybridization the sample is labeled with fluorescent dyes. The hybridization (and consequently, the fluorescent signal emitted) will be strongest at the oligonucleotide that is complementary to wild-type sequence if no mutations are present, while the presence of a mutation will cause hybridization to occur at the complementary mutant oligonucleotide.